Which one of the following is a potent stimulus for the production of erythropoietin?
1. Alpha interferon
2. Interleukin-3
3. Hypoxia
4. Hypercarbia

Correct answer: 3. Hypoxia

Explanation: Hypoxia favoring the production of hemoglobin F both direct effects on globin gene expression, as well as up-regulated production of erythropoietin. Ref: Ganong's Review of Medical Physiology Twenty-Third Edition Page No:526